An infant with cleft lip, palate, polydactly, microcephaly with holoprosencephaly, ectodermal scalp defect is suffering from?
1. Trisomy 21
2. Trisomy 18
3. Trisomy 13
4. Turner syndrome

Correct answer: 3. Trisomy 13